Longest T 1/2 is of which drug ?
1. Amiodarone
2. Quinidine
3. Diltiazem
4. Procainamide

Correct answer: 1. Amiodarone

Explanation: Ans. is 'a' i.e., Amiodarone o Amiodarone is the longest acting antiarrhythmic.